Which cells cause rosette formation with sheep RBCs?
1. T cells
2. NK cells
3. Monocytes
4. B cells

Correct answer: 1. T cells

Explanation: 1. Both T-cell and B-cell form rosette with sheep erythrocytes. But best answer is T-cells because T-cells directly react with sheep erythrocytes, whereas B-cells react with sheep erythrocytes that are coated with antibody and complement. 2. Most human T cells have receptors for sheep erythrocytes on their surface and have the ability to form rosettes with them; this property is made use of for identifying T cells in a mixed population of cells